Bone resorption is decreased by all except
1. Strontium ranelate
2. Alendronate
3. Teriparatide
4. Raloxifine

Correct answer: 3. Teriparatide

Explanation: Teriparatide is a parathormone analogue which acts by stimulating osteoblasts and bone formation.